Homologous sperm in IVF is:
1. Between donor and wife
2. Between husband and wife
3. Between husband and surrogate
4. Between donor and surrogate

Correct answer: 2. Between husband and wife

Explanation: Ans. Between husband and wife